Unipolar flagellate organism that causes pneumonia-
1. Pseudomonas
2. Mycoplasma
3. Aeromonas
4. Klebsiella pneumonia

Correct answer: 1. Pseudomonas

Explanation: Ans. is 'a' i.e., Pseudomonas o Pseudomonas aeruginosa is a Gram-negative, aerobic rod shaped and polar-flagella bacterium with unipolar motility.